With respect to cardiac arrests occurring during anaesthesia – a) The most common preceding arrhythmia is bradycardiab) The most common cause is failure of ventilationc) Most occur during emergence from anaesthesiad) Most are considered unpreventable and untreatable
1. ac
2. a
3. ad
4. ab

Correct answer: 4. ab

Explanation: Mast cardiac arrests are preceded by bradycardia suggesting that early identification and treatment may prevent complications.
Most common cause is failure to provide adequate ventilation.
Most of the cardiac arrests occur during induction or maintenance.